A patient presented with Right upper quadrant pain with dyspepsia. USG showed Edematous Gallbladder wall. What will be the most sensitive investigation to confirm the suspected diagnosis here?
1. CECT
2. HIDA
3. MRI
4. ERCP

Correct answer: 2. HIDA

Explanation: Ans. (b) HIDA scanRef Sabiston Page 1488/20th edition* Gold standard investigation for Acute Cholecystitis- HIDA scan* Finding- Non visualization of Gallbladder in HIDA Scan